Which of the following best describes a pharmacologic property of amiodarone?
1. a-Adrenergic agonist
2. b-Adrenergic agonist
3. Activation of Ca 2+ channels
4. Inhibition of K + channels

Correct answer: 4. Inhibition of K + channels

Explanation: Amiodarone Mech of action:- It is iodine containing highly lipophilic long-acting antiarrhythmic drug exerts multiple actions: * Prolongs APD and Q-T interval attributable to block of myocardial delayed rectifier K+ channels. This also appears to reduce non-uniformity of refractoriness among different fibres. * Preferentially blocks inactivated Na+ channels (like lidocaine) with relatively rapid rate of channel recovery: more effective in depressing conduction in cells that are partially depolarized or have longer APD. * Partially inhibits myocardial Ca2+ channels, has noncompetitive b adrenergic blocking property and alters thyroid function. Ref:- kd tripathi; pg num:-533